The common causative agent in diarrhea in AIDS patients is:
1. Toxoplasma
2. Cryptosporidium
3. Salmonellae
4. Mycobacteria

Correct answer: 2. Cryptosporidium

Explanation: (Cryptosporidium) (589-A 7th)* Cryptosporidium has assumed great importance as a frequent cause of intractable diarrhoea in AIDS patients. It can lead to acute self limited diarrhoea in previously healthy persons and chronic life threatening diarrhoea in immunocompromised.